Behaviour therapy to change maladaptive behaviour using the response as reinforcer uses the principles of-
1. Classical conditioning
2. Modeling
3. Social learing
4. Operant conditioning

Correct answer: 4. Operant conditioning

Explanation: Reinforcement is used in operant conditioning.